Least common cause of clubbing is:
1. Adenocarcinoma
2. Squamous cell cancer
3. Small cell cancer
4. Mesothelioma

Correct answer: 3. Small cell cancer

Explanation: Lung cancer is the most common cause of clubbing . Most common with adenocarcinoma and is least common with small cell lung cancer.